A patient of Schizophrenia on neurolepts, his psychotic symptoms gets relieved but developed sadness, talks less to others, remain on bed, all of following are likely causes except:
1. Parkinsonism
2. Major depression
3. Negative symptoms are still persisting
4. He is reacting to external stimuli

Correct answer: 4. He is reacting to external stimuli

Explanation: D i.e. He is reacting to external stimuli Post psychotic depressive disorder of schizophreniaQ occurs only during residual phase of schizophrenia in 25% Differential diagnosis of post psychotic depressive disorder of schizophrenia are - Residual phase (negative symptoms) of schizophreniaQ - Adverse effects (eg. parkinsonism, akinesia, akathisia) of antipsychotic drugsQ - Schizoaffective disorder - depressive type